DPP4 inhibitor requiring dose reduction in both liver and kidney failure
1. Linagliptin
2. Sitagliptin
3. Saxagliptin
4. Vildagliptin

Correct answer: 4. Vildagliptin

Explanation: Vildagliptin require and of both reductions in liver and kidney failure.Ref: KDT 7TH/275